MRP2 transporter defect leads to development of?
1. Menke's disease
2. Dubin Johnson syndrome
3. Familial intrahepatic cholestasis
4. Benign recurrent intrahepatic cholestasis

Correct answer: 2. Dubin Johnson syndrome

Explanation: MRP2 defect: Multidrug resistance-associated protein 2 (MRP2), an ATP-dependent canalicular membrane transporter. It is defective in Dubin Johnson syndrome. This protein is encoded by gene known as ABCC2 Gene which is mutated. Dubin Johnson syndrome- It is an autosomal recessive disorder occurs due to defect in MRP-2 protein. kernicterus is absent , with liver biopsy showing black pigmentation. Mild jaundice is seen with normal bile acids level.